Which one of the following is not used as a tumor marker in testicular tumors?
1. AFP
2. LDH
3. HCG
4. CEA

Correct answer: 4. CEA

Explanation: CEA is an oncofetal antigen and may be used as a tumor marker in adenocarcinoma of colon, pancreas, lung, breast, and ovary. However not used as a marker for germ cell tumorsTumor markers for germ cell tumors:Alpha-fetoprotein seen in non-seminomatous germ cell tumorsHCG: 1. non-seminomatous germ cell tumors; 2. Non-seminomatous germ cell tumorsOthers:LDHPlacental alkaline phosphatase(Ref: Harrison's 18/e p652, table 81-6)